Unequal division of conus cordis resulting from displacement of conotruncal septum gives rise to :
1. Persistent truncus arterisur
2. Coarctation of aorta
3. Tetralogy of fallot
4. Transposition of great vessels

Correct answer: 3. Tetralogy of fallot

Explanation: Unequal division of conotruncal division of conotruncal septum leads to :

Pulmonary stenosis over riding of aorta.
Pulmonary stenosis leads to right ventricular hypertrophy.
Right ventricular hypertrophy leads to ventriculor sepral defect.